Postmortem rigidity disappears first in:
1. Upper limbs
2. Neck
3. Lower limbs
4. Eyelids

Correct answer: 4. Eyelids

Explanation: Ans. (d) EyelidsRef: The Essentials of FSM by K.S. Narayan Reddy 31st ed. /140-43, 147; Reddy's 2Th/ 142Order of appearance and disappearance (in sequence)* Heart (left chamber in 1 hour)* Eyelids (3-4 hours)* Face muscles* Neck and trunk* Upper extremities* Legs* Small muscle of finger and toes (last to be affected, 11-12 hours)Also Know* Postmortem rigidity lasts for 18-36 hours in summer and 24-48 hours in winter.* Postmortem rigidity disappear in the same order as that of the appearance